Glycogenin primer is glucosylated by:
1. UDP Glucose
2. Glucose 1 PO4
3. UDP Glucose 1 PO4
4. UDP Glucose 6 PO4

Correct answer: 1. UDP Glucose

Explanation: Ans. A. UDP Glucose(Ref: Harper 31/e page 164)Glycogenin, a 37 kDa protein is glucosylated on specific tyrosine residue by UDP glucose.Glycogenenin catalyses transfer of 7 glucose residue from UDP-Glc, in l-4 linkage to form Glycogen primer.Further Glucose on glycogen primer are added by Glycogen Synthase to nonreducing end till growing chain is at least 11 glucose residue long.